Which of the following factors determines whether a patient develops acromegaly or gigantism?
1. Sex
2. Age at onset of the tumor
3. Amount of available calcium
4. Degree of function of the tumor

Correct answer: 2. Age at onset of the tumor